Parts of some human skeletal remains are brought to you. The pelvis is complete, yet the individual bones of the pelvis, the ilium, ischium, and pubis have just staed to fuse together. The subpubic angle you estimate at 60deg and the pelvic brim has a distinctive hea shaped appeareance. On the basis of this information, you guess the remains are of which of the following?
1. 3-year-old female
2. 4-year-old male
3. 14-year-old male
4. 30-year-old female

Correct answer: 3. 14-year-old male

Explanation: Because the sub- pubic angle is about 60deg and the pelvic brim is hea shaped, you are look ing at a male. The bones of the pelvis arise from three different centers of ossification and generally fuse together at about pubey through the twenty-third year, thus you know you have to be looking at a 14-year-old male, not a 3-year-old or an 80-year- old male.